Atypical lymphocytes in infectious mononucleosis are made up of:
1. CD4+ T cells
2. CD8 + T cells
3. Plasma cells
4. NK cells

Correct answer: 2. CD8 + T cells

Explanation: Ref: Harrisons 18th edition, Page 1467 and Robbins Pathologic Basis of Disease, 8th edition. Pages 355-7Explanation:''The atypical lymphocytes seen in the blood, so characteristic of this disease, are mainly Ell V-specific CD8+ cytotoxic T cells, but also include CD 16+ NK cells. " Ref: Robbins"The atypical lymphocytes seen in infectious mononucleosis are T lymphocytes of CD8+ subset, with a smaller contribution from CD4+ cells." Ref: Encyclopedia of Molecular Mechanisms of Disease: Volume 3, Page 1346INFECTIOUS MONONUCLEOSISIt is caused by EBV.Clinical Featureso Fever.o Cervical nodeso Hepatosplenomegalvo Rash.Lymphocytosis with atypical lymphocytes (CD 8+).The peripheral blood shows absolute lymphocytosis.More than 60% of white blood cells are lymphocytes.Atypical lymphocytes account for 5 - 80% of lymphocytes.o 12 to 16 mm in diametero Abundant cytoplasmo Multiple clear vacuolationso Oval, indented, or folded nucleuso Scattered cytoplasmic azurophilic granuleso Express CDS. Abnormal LFT.CNS complications: o Meningitis.o Encephalitiso Cranial nerve palsieso GBS.o Transverse myelitis.Other complications:o Splenic rupture.o Upper airway obstructiono Bacterial superinfection.